Putrefaction process is delayed by :
1. Peritonitis
2. Ansarca
3. Carbolic acid
4. Sepsis

Correct answer: 3. Carbolic acid

Explanation: Carbolic acid delays the process of putrefaction.
Peritonitis, ansarca, sepsis enhances the process of putrefaction.